The enzyme PeudochoIinesterase acts on:
1. Decamethonium
2. Tubocurarine
3. Gallamine
4. Suxamethonium

Correct answer: 4. Suxamethonium

Explanation: Suxamethonium is Succinyl choline. Abnormal Psuedocholinestrase is a hereditary defect. In such people S-ch doesn't get metabolized. Usual dose results in prolonged apnoea and paralysis that lasts for hours. Artificial ventilation and blood transfusion are needed to supply Psuedocholinestrase. From padmaja 4th edition Page no 86